All can be used for systemic fungal infections except :
1. Ketoconazole
2. Fluconazole
3. Amphotericin B
4. Griseofulvin

Correct answer: 4. Griseofulvin